Initiation of nerve impulse occurs at the axon hillock because :
1. It has a lower threshold than the rest of axon
2. It is unmyelinated
3. Neurotransmitter release occurs here
4. None of the above

Correct answer: 1. It has a lower threshold than the rest of axon

Explanation: A i.e. It has lower threshold than rest of axonAxon hillock is the initial segment of neuron, nerve impulses begin in this initial segment of axon because it has lowest threshold potential.QAxon hillock:- This is a thickened area of cell body from which originates the long fibrous axon.AP is generated in this segment because the membrane at the axon hillock has grater concentration of voltage gated Na+ channels and therefore the threshold for excitation is lower than the rest of neuronsQ